Causative agent of acute rheumatic fever -
1. Group 'A' b-hemolytic streptococcus
2. Group-B b-hemolytic streptococcus
3. Group-C b-hemolytic streptococcus
4. Group-D b-hemolytic streptococcus

Correct answer: 1. Group 'A' b-hemolytic streptococcus

Explanation: Ans. is 'a' i.e., Group 'A' p-hemolytic streptococcus o Acute rheumatic fever is caused by streptococcus pyogenes - group-A Beta hemolytic streptococcus.